According to Ellis and Davey classification a fracture of 51 involving dentin and associated loss of vitality is classified as
1. Class 2
2. Class 4
3. Class 8
4. Class 9

Correct answer: 4. Class 9